Mc Ardles diseaae is due to:
1. Liver Phosphorylase deficiency
2. Muscle Phosphorylase deficiency
3. Lysosomal alpha-1,4-glucosidase deficiency
4. G6PD Deficency

Correct answer: 2. Muscle Phosphorylase deficiency

Explanation: Muscle Phosphorylase deficiency